An 8 year old boy is brought to the emergency room with a 3-day history of fever to 102 degrees F and abdominal pain. He also complains of pain in his right knee and right elbow. He was seen four weeks ago because of a sore throat and a rash. A throat culture performed at that time grew gram-positive cocci in chains. Amoxicillin was prescribed, but the boy's mother did not fill the prescription. On physical exam his temp is 101.7F, HR 96, and BP 100/60. Cardiac exam reveals a pansystolic blowing murmur heard best at the apex. His right elbow is tender on extension and flexion with mild swelling. Laboratory tests reveal a positive C-reactive protein, an ESR of 40 and a WBC of 22,000 with a left shift. ECG shows a prolonged PR interval. Which of the following tests would be positive for the microorganism responsible for this patient's illness?
1. Catalase test
2. Coagulase test
3. Sensitivity to bacitracin
4. Sensitivity to novobiocin

Correct answer: 3. Sensitivity to bacitracin

Explanation: This case is classic for Rheumatic fever, including two of the major Jones criteria (carditis, polyarthritis) and several minor criteria (fever, arthralgia, elevated ESR, leukocytosis, C-reactive protein, prolonged PR interval). Rheumatic fever is a sequelae of untreated infection with Group A Streptococcus (S. pyogenes). S. pyogenes is differentiated from the other beta-hemolytic Strep by its sensitivity to the antibiotic bacitracin. The catalase test is used to differentiate Staphylococci from Streptococci. Staphylococci are catalase positive, Streptococci are catalase negative. So, S. pyogenes would be catalase negative. The coagulase test is used to differentiate Staph aureus from the other Staph spp. Staph aureus is coagulase positive; the others are negative. Sensitivity to novobiocin is used to differentiate Staph saprophyticus (resistant) from Staph epidermidis (sensitive). Ref: Levinson W. (2012). Chapter 66. Tolerance & Autoimmune Disease. In W. Levinson (Ed), Review of Medical Microbiology & Immunology, 12e.